Combination use of beta blockers and calcium channel blockers cause:
1. Heart block
2. Hypotension
3. Bradycardia
4. All of these

Correct answer: 4. All of these